The sinus occupying coronary sulcus is derived from which of the following?
1. Truncus arteriosus
2. Bulbus cordis
3. Primitive ventricle
4. Sinus venosus

Correct answer: 4. Sinus venosus

Explanation: The coronary sinus occupies coronary sulcus. The coronary sinus is derived from theleft horn of sinus venosus.